Jefferson fracture is:
1. C2 fracture
2. C1 fracture
3. Fracture of talus
4. Atlanto- axial dislocation

Correct answer: 2. C1 fracture

Explanation: Ans. B. C1 fracture* Jefferson's fracture: Sudden severe load on the top of the head may cause a 'bursting' force which fractures the ring of the atlas.* There is no encroachment on the neural canal and, usually, no neurological damage.